Niacin deficiency in a maize-eating population is due to -
1. High Trytophan
2. High Isoleucine
3. High leucine
4. High Phenylalanine

Correct answer: 3. High leucine

Explanation: - niacin deficiency results in pellagra. The disease is characterized by diarrhea, dermatitis and dementia. - niacin deficiency is common in maize eating population due to aminoacid imbalance cause by an excess of leucine. - excess of leucine appears to interfere in the conversion of tryptophan to niacin. Reference: Park's textbook of preventive and social medicine, 23rd edition, pg no:619